Most potential route for transmission of Meningitis from CNS to Inner ear is:
1. Cochlear Aqueduct
2. Endolymphatic sac
3. Vestibular Aqueduct
4. Hyrtl's fissure

Correct answer: 1. Cochlear Aqueduct

Explanation: Most potential route for transmission of Meningitis from CNS to Inner ear is Cochlear Aqueduct. The scala tympani is closed by secondary tympanic membrane; it is also connected with the subarachnoid space through the aqueduct of cochlea. Hence the infections from meninges can spread to inner ear.